Burn Marshall technique is used to deliver the :
1. Placenta
2. Leg
3. After coming head
4. Head

Correct answer: 3. After coming head

Explanation: After coming head